True about nenatal necrotizing enterocolitis ?
1. Abdominal distension
2. Pneumoperitoneum
3. Decreased bowel sounds
4. All of the above

Correct answer: 4. All of the above

Explanation: Ans. is d i.e., All of the above Neonatal necrotizing enterocolitis Neonatal necrotizing enterocolitis is the most common life threatening emergency of gastrointestinal tract in the new born period. o The disease is characterized by various degree of mucosal or transmural necrosis of the intestine. o It occurs in premature or small for gestational age (LBW) infants. Clinical manifestations of necrotizing enterocolitis can be devided into 3 stages : Stage I : o Unstable temperature, apnea, bradycardia, lethargy. Mild abdominal distension, vomiting Suspected blood in stool. Stage II : o Above signs + Bowel sounds are diminished, with or without abdominal tenderness Definite o In more severe cases : Metabolic acidosis and mild thrombocytopenia o X-Ray : Pneumatosis intestinalis and dilation of intesting. Stage III : o Above signs + infant has low BP, bradycardia, apnea, acidosis, DIC, anuria Advanced o Frank signs of peritonitis with abdominal tenderness, distension and erythema of abdominal wall. o X-Ray : shows Pneumoperitonium.